All of the following about "Aaron Becks cognitive theory of depression" is true, EXCEPT:
1. Negative thought of past
2. Negative thought of future
3. Negative thought of Environment
4. Negative about self

Correct answer: 1. Negative thought of past

Explanation: ANSWER: (A) Negative thought of pastREF: Kaplan & Sadock's Synopsis of Psychiatry, 10th Edition page 958According to the cognitive theory of depression, cognitive dysfunctions are the core of depression, and affective and physical changes and other associated features of depression are consequences of cognitive dysfunctions. For example, apathy and low energy result from a person's expectation of failure in all areas. Similarly, paralysis of will stems from a person's pessimism and feelings of hopelessness. From a cognitive perspective, depression can be explained by the cognitive triad, which explains that negative thoughts are about the self, the world, and the future.